Fertilization most commonly takes place at
1. Infundibulum
2. Ampulla
3. Isthmus
4. Interstitium

Correct answer: 2. Ampulla